A person who subsisted on taking maize only for many years reported to a health facility with the signs of glossitis. His history suggested frequent attacks of diarrhea and memory loss. The likely condition is
1. Iron deficiency
2. Riboflavin deficiency
3. Beri Beri
4. Pellagra

Correct answer: 4. Pellagra